Split skin graft take up is good if
1. Wound is avascular
2. Light compression wraps applied as dressing
3. Increased purulent discharge from wound
4. Insensitive area of wound

Correct answer: 2. Light compression wraps applied as dressing

Explanation: Light dressing over graft helps in good take up of split skin graft.